The following are the high grade salivary gland malignancies, EXCEPT
1. Basal cell adenocarcinoma
2. Mucoepidermoid carcinoma
3. Adenoid Cystic carcinoma
4. Salivary duct carcinoma

Correct answer: 1. Basal cell adenocarcinoma